Colour vision is with the help of:
1. Rods
2. Cones
3. Cortex
4. Optic disc

Correct answer: 2. Cones

Explanation: Ans: b (cones) Ref: Ganong, 22nd ed, p. 159A straight forward question! Cones play a very important role in colour vision and rods in night vision (dim light)Cones are the visual receptors which impart to the eye, the ability for colour visionThere are three types of cone pigments:- Cvanolabe- Ervthrolabe- ChlorolabeThe other visual receptor - rods is mainly for night vision. The pigment present in rods is rhodopsinDark adaptationIt is the adjustment of visual mechanism from bright light vision to dim light vision (i.e., switching from cone vision to rod vision)Visual areas in brain* Primary visual cortex area - 17* Visual association area-18,19 /* Frontal eye field area - 8Note: * Lateral geniculate body is concerned with vision* Medial geniculate body is concerned with hearingBRIDGEThe time required for Dark adaptation can be minimized by wearing red goggles while entering a cinema theatre.(Remember--L for light and M for music)* Rods are absent in the foveola (contains mainly cones).